The LE cell in Romanowsky-stained preparation is -
1. Monocyte
2. Neutrophil
3. Eosinophil
4. Lymphoctye

Correct answer: 2. Neutrophil

Explanation: Harshmohan textbook of pathology 7th edition. *LE cell is phagocytic leukocytes, commonly PMN neutrophyl and sometime a monocyte which engulf the homogenous nuclear material of the injured cells.